Hypertrophic gastropathy is seen in -
1. Seen in menetriers disease and ZES
2. It is associated with malignancy
3. It shows cerebriform rugacity on stomach
4. All

Correct answer: 4. All

Explanation: Ans. is 'a' i.e., Seen in Menetrier's disease and ZES; 'b' i.e., It is associated with malignancy; 'c' It show cerebriform rugacity on stomachHypertrophic Gastropathyo Hypertrophic gestropatny is a group of uncommon conditions , all characterized by giant cerebrifrom enlargement of the rugal folds of the gastric mucosa.o The rugal enlargement is caused by hyperplasis of the mucosal epithelial cells, without inflammation . o Three variant are recognizedMenetrier disease --> Resulting from profound hyperplasia of the surface mucous cells with accompanying glandular actrophy.Hypertrophic - hypersecretory --> Associated with hyperplasia of the parietal and chief cells gastropathy within gastric glands.Zollinger -Ellison syndrome - Gastic gland hyperplsia due to excessive gastrin secretion by gastrinoma.o Menetier disease may involve predominantly the body - fundus or antrum or the entire stomach.o Mucosal hyperplasia may becomes metaplastic, providing a soil for the development of gastric carcinoma.